In which O2 therapy is used ?
1. Hypoxic hypoxia
2. Anemic hypoxia
3. Histotoxic
4. Stagnant

Correct answer: 1. Hypoxic hypoxia

Explanation: Ans. is 'a' i.e., Hypoxic hypoxia